Gelle's test is done in?
1. Otosclerosis
2. Serous otitis media
3. Senile deafness
4. Traumatic deafness

Correct answer: 1. Otosclerosis

Explanation: Gelle's test is a test of bone conduction and examines the effect of increased air pressure in the ear canal on hearing. Gelle's test is positive in normal person and in those with sensorineural hearing loss. It is negative when ossicular chain is fixed or disconnected. It was a popular test to find out stapes fixation in otosclerosis but has now been superceded by tympanometry.